In which of the following corneal ulcers signs are more than symptoms:
1. Fungal corneal ulcer
2. Bacterial corneal ulcer
3. Viral corneal ulcer
4. Herpetic corneal ulcer

Correct answer: 1. Fungal corneal ulcer

Explanation: Ans. (a) Fungal corneal ulcerRef: A.K. Khurana 6th ed. H06, Khurana 4th ed./100* Fungal corneal ulcer aka fungal keratitis is most commonly caused by Aspergillus fusarium. Patient in this condition presents with history of trauma with vegetative matter.* Symptoms shown by patients here are milder than signs. Signs are dry looking, greyish white corneal ulcers with feather finger like extensions (due to hypae)Signs of Fungal Keratitis:* Satellite nodule (satellite lesion present around ulcer)* Large organized hypopion (non-sterile)* Immune ring of pessaryPredisposing factors- topical steroids, organic matter. Worst prognosis.Treatment: 5% natamycin or .2%fluconazole for 6-8 weeks.